Which of the following provide opacity to composite?
1. TEGDMA
2. BIS-GMA
3. TiO2
4. None

Correct answer: 3. TiO2